If the circumflex artery gives off the posterior interventricular artery, then the arterial supply is called:
1. Right dominance
2. Left dominance
3. Balanced dominance
4. Undeermined

Correct answer: 2. Left dominance

Explanation: B i.e., Left dominance